A person is brought to an emergency department after he experiences a sudden difficulty in breathing and a low tracheostomy is performed below the isthmus of the thyroid, which of the following vessels may be encountered?
1. Inferior thyroid artery
2. Inferior thyroid vein
3. Costocervical trunk
4. Superior thyroid artery

Correct answer: 2. Inferior thyroid vein

Explanation: A low tracheostomy is a surgical incision of the trachea through the neck and below the isthmus of the thyroid gland. The Inferior thyroid veins drain the thyroid gland, descend in front of the trachea, and enter the brachiocephalic veins.